Longest acting nitroglycerine preparation is:
1. Glyceryl trinitrate
2. Amyl nitrite
3. Penta erythrital tetranitrate
4. Isosorbide dinitrate

Correct answer: 3. Penta erythrital tetranitrate